Mondor's disease is?
1. Congenital breast disease
2. Carcinoma breast
3. Radiation induced carcinoma breast
4. Superficial thrombophlebitis of breast

Correct answer: 4. Superficial thrombophlebitis of breast

Explanation: ANSWER: (D) Superficial thrombophlebitis of breastREF: Schwartz 9th ed chapter 17MQNDOR'S DISEASEMondor's disease is a variant of thrombophlebitis that involves the superficial veins of the anterior chest wall and breast. In 1939, Mondor described the condition as "string phlebitis ," a thrombosed vein presenting as a tender, cord-like structure. Frequently involved veins include the lateral thoracic vein, the thoracoepigastric vein, and, less commonly, the superficial epigastric vein. Typically, a woman presents with acute pain in the lateral aspect of the breast or the anterior chest wall. A tender, firm cord is found to follow the distribution of one of the major superficial veins. Rarely, the presentation is bilateral, and most women have no evidence of thrombophlebitis in other anatomic sites. This benign, self-limited disorder is not indicative of a cancer. When the diagnosis is uncertain, or when a mass is present near the tender cord, biopsy is indicated. Therapy for Mondor's disease includes the liberal use of anti-inflammatory medications and application of warm compresses along the symptomatic vein. Restriction of motion of the ipsilateral extremity and shoulder as well as brassiere support of the breast are important. The process usually resolves within 4 to 6 weeks. When symptoms persist or are refractory to therapy, excision of the involved vein segment is appropriate.